Concomitant administration of this drug with organic nitrates is contraindicated due to marked potentiation of vasodilatory action leading to profund hypotension. This drug is:
1. Propanolol
2. Fluoxetine
3. Hydrochlorothiazide
4. Sildenafil

Correct answer: 4. Sildenafil

Explanation: (Ref: KDT 6/e p525) Nitrates release No, that acts by increasing cGMP. Phosphodiesterase inhibitors like sildenafil inhibits the breakdown of cGMP. Concomitant use of these two drugs may result in profound hypotension.